In which type of poisonings is gastric lavage contraindicated?
1. Organophosphorus poisoning
2. Sedative drug poisoning
3. Corrosive acid poisoning
4. Barium carbonate poisoning

Correct answer: 3. Corrosive acid poisoning

Explanation: Ans. C. Corrosive acid poisoningGastric Lavage is contraindicated when patients havea. Corrosive substance poisoningb. Convulsion (strychnine, tetanus)c. Comad. Volatile poisons (kerosene)e. Hypothermiaf. patients at risk of gastrointestinal hemorrhage or perforation.g. aluminum phosphide poisoning